All of the following are intermediates of TCA cycle, except :
1. Malonate
2. alpha -ketoglutarate
3. Succinate
4. Fumarate

Correct answer: 1. Malonate

Explanation: Ans. a) Malonate is not an intermediate of TCA cycle Malonate Malate competitive inhibitor of succinate dehydrogenase intermediate in TCA cycle. TCA cycle intermediates are Citrate, Isocitrate, a-ketoglutarate, succinyl-CoA, Succinate, Fumarate, Malate, oxaloacetate. Acetyl-CoA is completely oxidised Oxaloacetate is regenerated.